All of the following are side effect of Clozapine except
1. Agranulocytosis
2. Myocarditis
3. Seizures
4. Weight loss

Correct answer: 4. Weight loss

Explanation: Clozapine causes weight gain, not weight loss. Agranulocytosis and Myocarditis are does independent side effects. Seizures are dose dependent side effect seen with Clozapine.